HDV is
1. SS-RNA virus
2. SS-DNA virus
3. DS-RNA virus
4. DS-DNA virus

Correct answer: 1. SS-RNA virus